Confirmatory Test for coliform count
1. Eijkman test
2. Casoni’s test
3. Nitrate test
4. Urease test

Correct answer: 1. Eijkman test